The coronary blood flow (ml per minute) is:
1. 250
2. 500
3. 750
4. 840

Correct answer: 1. 250

Explanation: Coronary blood flow per minute is 250ml/min, which represents approximately 4% of the normal resting cardiac output. Arterial coronary circulation supplies oxygenated blood to the myocardium through two major arteries the right and left coronary arteries. Myocardium receives largest portion of its blood flow during diastole. Coronary circulation very effectively extracts oxygen as blood flows through the capillary bed. Under resting conditions 60-70% of the available oxygen is extracted. Venous blood is returned to the atrium through the coronary sinus. Ref: Exercise Physiology for Health Fitness and Performance By Sharon A. Plowman,page 339